Which of the following drug is used to counter central anticholinergic effect?
1. Physostigmine
2. Atropine
3. Neostigmine
4. Hyoscine

Correct answer: 1. Physostigmine

Explanation: Physostigmine is effective in the treatment of central anticholinergic toxicity caused by overdoses of atropine or scopolamine. In addition, it reverses some of the central nervous system depression and delirium associated with use of benzodiazepines and volatile anesthetics. Physostigmine (0.04 mg/kg) has been shown to be effective in preventing postoperative shivering. It reportedly partially antagonizes morphine-induced respiratory depression, presumably because morphine reduces acetylcholine release in the brain. Ref: Butterworth IV J.F., Butterworth IV J.F., Mackey D.C., Wasnick J.D., Mackey D.C., Wasnick J.D. (2013). Chapter 12. Cholinesterase Inhibitors & Other Pharmacologic Antagonists to Neuromuscular Blocking Agents. In J.F. Butterworth IV, J.F. Butterworth IV, D.C. Mackey, J.D. Wasnick, D.C. Mackey, J.D. Wasnick (Eds), Morgan & Mikhail's Clinical Anesthesiology, 5e.